Brunner glands are seen in:
1. Duodenum
2. Esophagus
3. Cardia of stomach
4. Small intestine

Correct answer: 1. Duodenum

Explanation: Ans. A DuodenumRef: BDC, 5th ed. Vol II pg. 268* Brunner's gland is found in duodenum above sphincter of oddi.* Main function of these glands is to produce mucus rich alkaline secretion which protects duodenum from gastric acidic contents.* It also facilitates activation of intestinal enzymes which helps in absorption.